The gold standard for diagnosing acid reflux is
1. Endoscopy
2. 24-hour pH monitoring
3. Manometry
4. Esophagogram

Correct answer: 2. 24-hour pH monitoring

Explanation: The gold standard for diagnosing and quantifying acid reflux is the 24-hour pH test.Sabiston 20th edition Pg: 1070